The short bowel syndrome irt scharacterized by all of the following except
1. Diarrhea
2. Hypogastrinemia
3. Weight loss
4. Steatorrhoea

Correct answer: 2. Hypogastrinemia

Explanation: .Outcome of Short Bowel Syndrome * Severe malabsorption. * Severe dehydration. * Gallstone formation due to altered bile metabolism.* Urinary calculi due to increased oxalate level. * Water and electrolyte imbalance. * Diarrhoea is common. * Recurrent bacterial enteritis. * Fulminant hepatic failure often can occur. ref:SRB's manual of surgery,ed 3,pg no 814